2 weeks baby central cyanosis, grade II murmur, normal S1 single S2, plethoric lung diagnosis ?
1. TGA
2. TAPVC
3. TOF
4. Pulmonary atresia

Correct answer: 1. TGA

Explanation: In TGA there will be plethoric lung field, grade ll ejection systolic murmur, normal S1 and split S2. Ghai essential of pediatrics, eighth edition, p.no:425